Boutonniere deformity involves -
1. Flexion at PIP and DIP joint
2. Extention at PIP and DIP joint
3. Flexion at PIP and Extention at DIP joint
4. Extention at PIP and Flexion at DIP joint

Correct answer: 3. Flexion at PIP and Extention at DIP joint

Explanation: Ans. is 'c' i.e., Flexion at PIP and Extention at DIP joint Important hand deformities of hand in RA* Boutonniere deformity: Flexion contracture of PIP joint and extension of DIP joint.* Swan neck deformity: Hyperextension of PIP joint and flexion at DIP joint.* Z-deformity: Radial deviation of wrist with ulnar deviation of fingers.* Hyperextension of 1st interphalangeal joint and flexion of MP joint.